Electron microscopy is helpful in diagnosis of -
1. Rotavirus
2. RSV
3. Herpesvirus
4. Prion

Correct answer: 1. Rotavirus

Explanation: Laboratory diagnosis of rotavirus include electron microscooy and immunielectron microscopy-these are expensive and comolicated procedures.concentration of more than 10^6 particles per ml are necessary for the virus to be seen in feces by elwctron microscopy. REF:ANANTHANARAYAN AND PANIKER'S TEXTBOOK OF MICROBIOLOGY 9TH EDITION PAGE NO:561